In obesity which of the following hormone levels is decreased ?
1. Catecholamines
2. Insulin
3. Adiponectin
4. Copeptin

Correct answer: 3. Adiponectin

Explanation: Adiponectin is an abundant adipose-derived protein and enhances insulin sensitivity and lipid oxidation .Its levels are reduced in obesity Obesity is associated to significant disturbances in endocrine function. Hyper insulinemia and insulin resistance are the best known changes in obesity. Thyroxine, GH and adiponectin have lipolytic effects, hence their levels are reduced in obesity